Drug causing gynecomastia is :
1. Spironolactone
2. Rifampicin
3. Penicillin
4. Bumetanide

Correct answer: 1. Spironolactone